Commonest cancer in which metastasis is seen in the brain is -
1. Breast
2. Lung
3. Kidney
4. Intestines

Correct answer: 2. Lung

Explanation: Lung cancer(commonest metastasis to brain) and melanomas are most likely to present with multiple metastasis, whereas breast, colon, and renal cancers are more likely to present with a single metastasis. Ref Harrison 20th edition pg 539